Do the embryological first pharyngeal arches remain?
1. Sphenomandibular ligament
2. Stylohyoid ligament
3. Stylomandibular ligament
4. Styloid ligament

Correct answer: 1. Sphenomandibular ligament

Explanation: The part of the cartilage extending from the region of the middle ear to the mandible disappears, but it's sheath forms the anterior ligament of the malleus and the sphenomandibular ligament Ref: Human Embryology, Inderbir Singh, 10th edition, page no: 131